Cherry red spot in retina is a feature of:
1. Infantile Gaucher's disease
2. Niemann Pick disease
3. Fabry's disease
4. CRVO

Correct answer: 2. Niemann Pick disease

Explanation: Ans: B (Niemann Pick disease) Ref: Kanski 7th edition Clinical ophthalmology,, pg no 683-684Explanation:Causes of cherry red spot:Central retinal artery occlusionBlunt injury - Berlin's edeme or commotion retinaeQuinine toxicityMacular holeGangliosidosisMucolipidosisTay Sachs diseaseSandhoff diseaseNiemann Pick diseaseFaber diseaseMechanism of Cherry red spotThe fovea is the thinnest part of the retina & is devoid of ganglion cell layer.The following mechanisms causes cherry red spotWhen the retina becomes opaque due to edema (CRAO)Injury to the photoreceptors (Commotion retina)Due to intracellular accumulation of glvcolipids & phospholipids in the ganglion cellThe fovea remains transparent & transmits the underlying choroid.This appears as cherry red spot.